Pilocarpine is not used in young adults as it causes:
1. Retinal detachment
2. Myopia
3. Iris cysts
4. Shallow anterior chamber

Correct answer: 2. Myopia

Explanation: Ans. (b) MyopiaRef: Khurana 6/e, p. 449; Kanski 7/e; p. 386Contraction of ciliary muscle results in accommodation and thus also cause transient, fluctuating myopia.